Total body water at birth is:-
1. 90%
2. 75%
3. 60%
4. 30%

Correct answer: 2. 75%

Explanation: Total body water (TBW) constitutes: 90% of body weight in early fetal life 75% of body weight at birth 60% by the end of 1styear & remains so till puberty